A 10 years child has unilateral nasal obstruction epistaxis, swelling over cheek, the diagnosis is -
1. Nasal polyp
2. Nasopharyngeal carcinoma
3. Angiofibroma
4. Foreign bodies

Correct answer: 3. Angiofibroma